Which among the following is NOT a neuromuscular blocking agent?
1. Neostigmine
2. Pipecuronium
3. Gantacurium
4. d-TC

Correct answer: 1. Neostigmine

Explanation: d-Tubocurarine (d-TC), pipecuronium, and gantacurium are neuromuscular blocking agents. Neostigmine is a cholinesterase inhibitor which inactivate acetylcholinesterase by reversibly binding to the enzyme. The stability of the bond influences the duration of action. Neostigmine is used to treat myasthenia gravis, urinary bladder atony, and paralytic ileus. Ref: Butterwoh IV J.F., Mackey D.C., Wasnick J.D. (2013). Chapter 12. Cholinesterase Inhibitors & Other Pharmacologic Antagonists to Neuromuscular Blocking Agents. In J.F. Butterwoh IV, D.C. Mackey, J.D. Wasnick (Eds), Morgan & Mikhail's Clinical Anesthesiology, 5e.